A patient of moderate VSD in chronic CCF develops clubbing with no cyanosis. Diagnosis
1. Shunt reversal
2. Long standing pulmonary edema
3. SABE
4. Pulmonary artery hypertension

Correct answer: 3. SABE

Explanation: Mild to moderate VSD there are minimal symptoms . VSD is the commonest congenital lesion complicated by infective endocarditis. Ref :pg 417 Ghai pediatrics. Eighth edition